Robert Koch assistant advised him to use agar instead of gelatine culture media for cultivation of bacteria as:
1. Agar has more nutrition
2. Gelatin melts at 27degC
3. Gelatin is not easily available
4. Agar is cheaper

Correct answer: 2. Gelatin melts at 27degC

Explanation: Ans. (b) Gelatin melts at 27degC